Which of the following can present with congestive failure at birth:-
1. TGA with VSD
2. VSD
3. Hypoplastic left heart syndrome
4. Non-obstructive TAPVC

Correct answer: 3. Hypoplastic left heart syndrome

Explanation: TIME OF ONSET OF HEART FAILURE IN DIFFERENT CONGENITAL ABNORMALITIES: